Which one of the following is of most serious prognostic significance in a patient of essential hypertension-
1. Diastolic blood pressure greater than 130mmHg
2. Transient ischaemic attacks
3. Left ventricular hypertrophy
4. Papilledema and progressive renal failure

Correct answer: 4. Papilledema and progressive renal failure

Explanation: In more than 95% of cases, a specific underlying cause of hypertension cannot be found. Such patients are said to have essential hypertension. The pathogenesis of this is not clearly understood. Many factors may contribute to its development, including renal dysfunction, resistance vessel tone, endothelial dysfunction, autonomic tone, insulin resistance and neurohumoral factors.~80-95% of hypertensive patients are diagnosed as having "essential" hypertension (also referred to as primary or idiopathic hypertension).Essential hypertension tends to be familial and is likely to be the consequence of an interaction between environmental and genetic factors. The prevalence of essential hypertension increases with age, and individuals with relatively high blood pressures at younger ages are at increased risk for the subsequent development of hypertension. It is likely that essential hypertension represents a spectrum disorders with different underlying pathophysiologies. In the majority of patients with established hypertension, peripheral resistance is increased and cardiac output is normal or decreased; however, in younger patients with mild or labile hypertension, cardiac output may be increased and peripheral resistance may be normal. When plasma renin activity (PRA) is plotted against 24-h sodium excretion, ~10-15% of hypertensive patients have high PRA .Inconsistent associations between plasma aldosterone and blood pressure have been described in patients with essential hypertension.papilledema with renal failure is the most serious prognostic feature of essential hypertension. ref:Harrison's principles of internal medicine,ed 18,pg no 2450